All are used for Bier's block except
1. Lidocaine
2. Prilocaine
3. Dibucaine
4. Chlorprocaine

Correct answer: 3. Dibucaine

Explanation: Ans. is 'c' i.e., Dibucaine